The coronary blood flow is regulated by
1. Adenosine
2. Bradykinin
3. Prostaglandin
4. Increased arterial pCO2

Correct answer: 1. Adenosine

Explanation: Coronary blood flow is regulated by Adenosine. Blood flow through the coronary system is regulated mostly by local arteriolar vasodilation in response to the nutritional needs of cardiac muscle. Increased local metabolism - decrease in O2 - breakdown of ATP to form adenosine - vasodilation - increased local coronary blood flow Ref: Guyton and hall 13th edition Pgno: 262,263